Modified biophysical profile includes:
1. Fetal tone and breathing
2. Fetal movements and tone
3. NST an AFI
4. API

Correct answer: 3. NST an AFI

Explanation: Ref: Dutta s Text Book of Obstetrics. 7th edition. Pg 109Explanation:Biophysical profile (Manning) scoring includes:PARAMETERSMINIMAL CRITERIASCORENSTReactive pattern2Fetal breathing movements> 1 episode lasting >30 sec2Gross body movement> 3 discrete body/ limb movements2Fetal muscle tone> 1 episode of extension of limb or trunk with return to flexion2Amniotic fluid> 1 pocket measuring 2 cm in two perpendicular planes2* Normal score = 2 Abnormal = 0Total score = IQBut the disadvantage with biophysical profile is it takes half an hour for each patient.Hence, modified biophysical score is designed. It includes AFI and NST.Modified BPP is considered abnormal if NST is non reactive and/ or AFI<5.